Which of the following is based on ionic charge -
1. Filtration
2. Dialysis
3. Electrophoresis
4. Ultracentrifugation

Correct answer: 3. Electrophoresis

Explanation: Ans. is 'c' i.e., Electrophoresis Property of protein usedMethodMolecular charge (Ionic charge)o Ion exchange chromatographyo High performance liquid chromatography (HPLC)o Electrophoresis (simple on cellulose acetate starch gel)o Isoelectric focusing (a variant of electrophoresis)Protein solubility''Salting out' or salt extraction (precipitation of protein by ammonium sulfateQ)Molecular size0o Gel filtration chromatographyQ (molecular-sieve chromatography or size exclusion chromatography)o Ultracentrifugationo SDS-PAGE (Sodium dodecvl sulphate-polyacry lamide gel electrophoresis)Qo DialysisQMolecular charge (Ionic charge)o Ion exchange chromatographyo High performance liquid chromatography (HPLC)o Electrophoresis (simple on cellulose acetate starch gel)o Isoelectric focusing (a variant of electrophoresis)Molecular charge and molecular weightPAGE : polyacrylamide gel electrophoresisAffinity bindingAffinity chromatographyHydrophobicityHydrophobic interaction chromatography